False statement regarding adductor pollicis muscle:
1. Has 2 heads
2. Supplied by Median nerve
3. Causes Adduction of thumb
4. Arterial supply is from Arteria priceps pollicis

Correct answer: 2. Supplied by Median nerve

Explanation: Ans: B (Supplied by Median nerve) Ref : Gray s Anatomy, 39th edition, 2008.Page.918Explanation:Adductor pollicis:Has 2 heads, i) Obi ique head ii) Transverse headOblique head: Origin from capitate, bases of 2nd, & 3rd metacarpal bonesTransverse head: Origin from palmar surface of 3rd metacarpal honeInsertion: Two heads united by a tendon which attached to the ulnar side of base of proximal phalanx of thumbBlood supply: Arteria princeps pollicis & Arteria radialis indicis and branches from deep palmar archNerve supply: Deep branch of ulnar nerve (C8 & T1 fibres)Action: Adduction of thumb i.e. approximates the thumb to the palm of handTesting: With the thumb lying along the palmar aspect of the index finger, the subject is asked to retain a strip of paper between the thumb and palm against resistance.To remember:There are 2(1 muscles in the hand. Out of this only 5 muscles supplied by median nerve and remaining 15 muscles are supplied by ulnar nerve.Muscles supplied by MEDIAN NERVE are:Flexor pollicis brevisAbductor pollicis brevisOpponens pollicisFirst lumbricalSecond lumbricalMuscles supplied by ULNAR NERVE are:By its superficial branchPalmaris brevis By its deep branchi Adductor pollicisFlexor digiti minimiAbductor digiti minimiOpponens digiti minimiThird & fourth lumbrical4 Dorsal interosseous4 Palmar interosseous